Which of the following are fungal infection of skin – a) Sporotrichosisb) Molluscum contagiousmc) Madura footd) Tinea e) Erysipelas
1. abc
2. ad
3. acd
4. bde

Correct answer: 3. acd

Explanation: Superficial → Dermatophytes (tinea), Pityriasis versicolor, cadida.
Deep  → Mycetoma (madura foot), sporotrichosis, chromblastomycosis, Subcutaneous phycomycosis.